Dorsal scapular nerve supplies:
1. Teres minor
2. Trapezius
3. Serratus anterior
4. Levator scapulae

Correct answer: 4. Levator scapulae

Explanation: Ans. D. Levator scapulaeThe dorsal scapular nerve arises from the brachial plexus, usually from the plexus root (anterior/ventral ramus) of the cervical nerve C5. Once the nerve leaves C5 it commonly pierces the middle scalene muscle, and continues deep to levator scapulae and the rhomboids.It provides motor innervation to the rhomboid muscles and levator scapulae muscle.